Positive nitrogen balance is seen in:
1. Pregnancy
2. Kwashiorkar
3. Fever
4. Marasmus

Correct answer: 1. Pregnancy

Explanation: Pregnancy is a state of anabolism and it shows positive nitrogen balance.